The muscle which is not supplied by recurrent laryngeal nerve is
1. Thyroarytenoid
2. Posterior cricoarytenoid
3. Cricothyroid
4. Lateral cricoarytenoid

Correct answer: 3. Cricothyroid

Explanation: Adductor of vocal cordsThyroarytenoid muscle:- R and L muscles; attached to thyroid and arytenoid cartilages on each side.Action shortens and relaxes vocal ligament.Note: deeper inner fibers referred to as "vocalis muscle".Lateral cricoarytenoid muscle: (R and L muscles):- Attached to cricoid and arytenoid cartilage on each side.- Closes or adducts vocal folds.- Supplied by Recurrent laryngeal nerve.Cricothyroid muscle:Attached to cricoid and thyroid cartilages.Tilts the thyroid cartilage, thus increasing tension of vocal foldsSupplied by external laryngeal nerveInter-arytenoid muscle (transverse and oblique)- Attached between right and left arytenoid cartilages- Closes inlet of larynx- Supplied by Recurrent laryngeal nerve Abductor of vocal cordsPosterior cricoarytenoid muscleAttached to cricoid and arytenoid cartilagesMove arytenoid cartilages so as to move both vocal folds apart, "open" of abduct vocal foldsSupplied by Recurrent laryngeal nerveVocalis muscle (derived from inner and deeper fibers of thyroarytenoid msucle)Supplied by Recurrent laryngeal nerveAll intrinsic muscles of the larynx are supplied by the recurrent laryngeal nerve except for cricothyroid which is supplied by external laryngeal nerve.